Use of dimethyl-P-toluidine is indicated for
1. Thermal polymerization of acrylic
2. Chemical polymerization
3. Retarding the polymerization reaction
4. To inhibit the action of benzoyl peroxide

Correct answer: 2. Chemical polymerization